A neonate presents with respirotory distress with enlargement of left upper lobe of lung and mediastinal shift towards the right. What is the most likely diagnosis ?
1. Cong lobar emphysema
2. Alpha 1 antitrypsin deficiency
3. Pneumonia
4. Cystic fibrosis

Correct answer: 1. Cong lobar emphysema

Explanation: Unilateral hyperinflated lung lobar emphysema foreign body lymph node this is due to partial obstruction of bronchus expansion ofchest with inspiration on affected side will be less. Ref : PAEDIATRICS CLINICAL EXAMINATION BY A.SANTHOSH KUMAR,PG NO:365,4TH EDITION